1 degree of freedom in chi – square test, the value of x2 for a probability of 0.05 is
1. 0.45
2. 2.41
3. 4.34
4. 3.84

Correct answer: 4. 3.84